Mid diastolic Murmur with presystolic accentuation is typically seen in:
1. Mitral stenosis
2. Mitral Regurgitation
3. Aortic stenosis
4. MVP

Correct answer: 1. Mitral stenosis

Explanation: Answer is A (Mitral Stenosis) Mid diastolic murmur with with presystolic accentuation is typically seen in mitral stenosis. 'Mitral stenosis is associated with a low pitched rumbling diastolic murmur heard best at the apex. The murmur typically peaks during middiastole and again immediately before the first heart sound (Pre-systolic accentuation)' - Evidence Based physical diagnosis (Elsevier) 2012/397 'Mitral stenosis is associated with a low pitched rumbling diastolic murmur heard best at the apex with the patient in lateral decubitus position. In patients with sinus rhythm, the murmur often reappears or becomes louder during atrial systole (presystolic accentuation)' Mitral stenosis : Review Mitral stenosis Auscultatory findings S1 : accentuated. S2 : Normally split S2 with accentuated P2e Murmur : Low pitcheddeg rumblingdeg diastolic murmur(' with 'Pre-systolic accentuation' heard best at the apex in left lateral recumbent position('. Opening snap: brief, high pitcheddeg, early diastolicdeg sound, best heard at the lower left sternal border'. X Ray findings Straightening of the left border of cardiac silhouette(' Prominence of main pulmonary artery' Dilation of upper lobe pulmonary veins' Kerley B linesdeg Backward displacement of the esophagus